Your patient is complaining of muscle cramps while undergoing hemodialysis. Which intervention is effective in relieving muscle cramps?
1. Increase the rate of dialysis
2. Infuse normal saline solution
3. Administer a 5% dextrose solution
4. Encourage active ROM exercises

Correct answer: 2. Infuse normal saline solution

Explanation: Treatment includes administering normal saline or hypertonic normal saline solution because muscle cramps can occur when the sodium and water are removed too quickly during dialysis. 
Reducing the rate of dialysis, not increasing it, may alleviate muscle cramps.